The selective MAO-B inhibitor among the following is
1. Selegiline
2. Clorgyline
3. Moclobemide
4. Tranylcypromine

Correct answer: 1. Selegiline

Explanation: MAO is mono amine oxidase exists in two isoforms MAO A and MAO B. MAO A inhibitors are used in treatment of depression where as MAO B in treatment of parkinsons MAO B inhibitors include selegeline and rasagiline. Ref: KD Tripathi 8th ed.